True about scoline are following except –
1. Fasciculations
2. ICT increases
3. Non depolarising neuro muscular blocker
4. Short acting muscle relaxant

Correct answer: 3. Non depolarising neuro muscular blocker

Explanation: Sch is a depolarizing blocker.